Which of the following is not a broad spectrum antibiotic
1. Tetracycline
2. Chloramphenicol
3. Doxycycline
4. Penicillin G

Correct answer: 4. Penicillin G